Pinna calcification is seen in all except -
1. Gout
2. Ochronosis
3. Frost bite
4. Addison's disease

Correct answer: 1. Gout